Most common injured MUSCLE in rotator cuff is :
1. Supraspinatous muscle
2. Infraspinatous muscle
3. Teres minor
4. Subscapularis

Correct answer: 1. Supraspinatous muscle

Explanation: Ans. (a) Supraspinatous muscleRef : BDC 6th ed. vol. 1 / 68-69* Four of the Intrinsic shoulder muscles collectively forms the Rotator cuff muscles. They are supraspinatus, infraspinatus, teres minor, and subscapularis (referred to as the SITS muscles). They are also called rotator cuff muscles because they form a musculotendinous rotator cuff around the gleno-humeral joint.* Injury or disease may damage the musculotendinous rotator cuff, producing instability of the glenohumeral joint. Trauma may tear or rupture one or more of the tendons of the SITS muscles; that of the supraspinatus is most commonly involved.